Treatment of rolandic epilepsy is:
1. Phenytoin
2. Lamotrigine
3. Carbamazepine
4. ACTH

Correct answer: 3. Carbamazepine

Explanation: Partial idiopathic epilepsy with rolandic spikes Also called benign epilepsy with centrotemporal spikes They are seizures while falling asleep or on awakening Focal sharp waves in centrotemporal location are seen on EEG. Carbamazepine is the most frequently used 1st line drug, but valproate, phenytoin, gabapentin and levetiracetam have been found effective as well.